Most common site of adenocarcinoma among the following
1. Duodenum
2. Jejunum
3. Ileum
4. Appendix

Correct answer: 1. Duodenum

Explanation: Ans. (a) DuodenumRef: Sabiston 19th edition, Page 1263* Most common type of cancer in small intestine is adenocarcinoma* Most common site is duodenum > proximal jejunum